Which of the following is responsible for adhesion of plate!lets to the vessel IN all?(.4//MS
1. Factor IX
2. Von Willebrand factor
3. Fibrinogen
4. Fibronectin

Correct answer: 2. Von Willebrand factor

Explanation: Ans: B. Von Willebrand factor(Ref. Robbins 9/e pill), 660 & Robbins 9/e p116Von-Willebrand factor:Product of normal endothelial cells.An essential cofactor for platelet binding to matrix elements (adhesion of platelets to vessel wall).Events:Endothelial injury allows platelets to contact underlying extracellular matrix a subsequent adhesion occurs through interactions with von Willebrand factor (vWF).